The duration of treatment with rifampicin by which a leprosy patient becomes non-infective is:
1. 1 week
2. 2 weeks
3. 3 weeks
4. 4 weeks

Correct answer: 3. 3 weeks

Explanation: Ans: c (3 weeks) Ref; Park. 19 ed, p. 267Leprosy is a highly infectious disease of low pathogenicity. It is effectively made non-infectious by treatment with rifampicin for 3 weeks and by dapsone for 90 days.Chemotherapy for leprosy- WHO recommendationsMultibacillary leprosy12 months - to be completed within 18 monthsRifampicin - 600 mg once monthly under supervisionClofazimine - 300 mg once monthly under supervision 50 mg daily self administeredDapsone - 100 mg daily self administeredPaucibacillary leprosy6 months to be completed within 9 monthsRifampicin-600 mg once monthly superviseeDapsone-100 mg daily self administered.